Which of following is mood stabilizing drug?
1. Lithium
2. Fluoxetine
3. Amytriptiline
4. Haloperidol

Correct answer: 1. Lithium

Explanation: Ans: a (Lithium) Ref: Ahuja,6th ed, p. 74; Katzung, 10th ed, Kaplan & saddock, 8th ed, p. 1560Lithium is a mood-stabilizing drug. Other drugs in this category are carbamazepine, valproic acid and lately lamotrigine.Lithium carbonate is used in the treatment of bipolar disorder, especially in the manic phase.Valproic acid also has now been recognized as an appropriate first-line treatment for mania.Fluoxetine and amytriptiline are antidepressants.Note:Veraguth's foldA peculiar triangle-shaped fold in the nasal comer of the upper eyelid is often associated with depression, it is referred to as veraguths fold.PseudodementiaDepression in elderly may mimic dementia clinically, this is called depressive pseudodementia.